Lisfrans fracture dislocation -
1. Fracture dislocation through tarso-metatarsal joints
2. Fracture dislocation through ankle joint
3. Fracture dislocation through subtalar joints
4. Fracture dislocation through mid - tarsal joints

Correct answer: 1. Fracture dislocation through tarso-metatarsal joints

Explanation: Ans. is 'a' i.e., Fracture dislocation through tarso-metatarsal jointso Lisfranc's fracture-dislocation: A fracture dislocation through tarso-metatarsal joints.EponymFractures of lower limbBumper fractureComminuted, depressed fracture of the lateral tibial condylePott's fractureBimalleolar ankle fractureCotton's fractureTrimalleolar ankle fracturePilon fractureComminuted intra-articular fracture of distal tibial endMarch fractureFatigue fracture of the shaft of 2nd and 3rd metatarsalRonaldo fractureFracture of the base of first metacarpal (extra-capsular)Maisonneuve's fractureAn ankle fracture associated with spiral fracture of neck of the fibulaPilon fracture (Explosion fracture)A comminuted intra-articular fracture of the distal end of the tibia and fibulaAviator's fractureFracture of neck of the talusLisfranc's fracture-dislocationA fracture dislocation through tarso-metatarsal joints.Chopart fracture-dislocationA fractue dislocation through inter-tarsal jointsMalagaigne's fractureA fracture of pelvis having a combination of ipsilateral fracture ofpubic rami anteriorly and sacro-iliac joint disruption posteriorly.Mallet fingerAvulsion of extensor tendon from the base of distal phalanx.Dashboard fractureFracture of posterior lip of acetabulum with posterior dislocation of hip.Straddle fractureBilateral superior and inferior pubic rami fractures of the pelvis.